All are features of HIV associated nephropathy, EXCEPT:
1. Nephrotic range proteinuria
2. Large kidney
3. Oedema
4. Hypoalbuminemia

Correct answer: 3. Oedema

Explanation: HIV patients with nephropathy typically present with nephrotic-range proteinuria and hypoalbuminemia, but they do not commonly have hypertension, edema, or hyperlipidemia. Renal ultrasound reveals large, echogenic kidneys. Other causes of enlarged kidney are Early diabetic nephropathy Renal amyloidosis Polycystic kidney disease Ref: Harrisons principles of internal medicine, 18th edition, Page: 2353.